Modifiers are added to gypsum mainly to
1. Modify setting time
2. Modify setting expansion
3. Modify strength
4. Decrease the porosity

Correct answer: 1. Modify setting time